Taste loss due to radiation therapy is recovered in:
1. 2 weeks
2. 60 - 120 weeks
3. 60-120 days
4. Not reversible

Correct answer: 3. 60-120 days

Explanation: Salivary Gland

60 mGy Xerostomia develops
Taste Loss – Reversible – recovery 60 to 120 days